A 23-year-old woman presents to your clinic with complaints of vulvar pain. The patient's history is significant for a new sexual partner and a recent history of flu-like symptoms and vaginal burning. On physical examination, extremely painful shallow ulcers with red borders are appreciated on the vulva, vagina, and perineal region.Which of the following is the most appropriate course of treatment for this patient?
1. Penicillin
2. Azithromycin
3. Doxycycline
4. Acyclovir

Correct answer: 4. Acyclovir

Explanation: Source: style="font-size: 1.04761904761905em; font-family: Times New Roman, Times, serif; margin: 0">Ans. (d) Acyclovir.Based on the prodromal symptoms and painful ulcers, this patient likely has HSV. Appropriate treatment is acyclovir.